Cardiac muscle is able to function as a syncy-tium because of the structural presence of
1. Branching fibres
2. Intercalated disc
3. Protoplasmic bridges between cells
4. Gap-junctions

Correct answer: 4. Gap-junctions

Explanation: D i.e. Gap junction Cardiac muscle have characteristic intercalated discQ (always at z line) &skeletal muscle have cross striation; and smooth muscles don't have both.Skeletal muscle has dark & light bands and peripherally placed nucleusQ;where as cardiac muscle has intercalated disc & centrally placed nucleusQEach cardiac muscle has a single nucleusQ. Cardiac muscle fiber branch & interdigitateQ. Cardiac muscle function as a synctium because of presence of gap junctionQ.